35 yrs old female presents with tinnitus, vertigo and fullness in ear. Likely Diagnosis:
1. Meniere's Disease
2. Otosclerosis
3. Ototoxicity
4. Noise Induced Hearing Loss

Correct answer: 1. Meniere's Disease

Explanation: Meniere's disease also called endolymphatic hydrops is a disorder of the inner ear where the endolymphatic system is distended with endolymph. It is characterized by Vertigo Sensorineural hearing loss Tinnitus Aural fullness Vertigo is due to K+ entry into perilymph and Causes irritation and is episodic Some cases of Meniere's disease show tullio phenomenon. SNHL is due to ion gradient imbalance.